All of the following statements about Tetralogy of fallot are true, Except
1. JVP is normal
2. Second Heart sound is single
3. Ejection systolic murmur is third left intercostal space
4. First Heart sound is soft

Correct answer: 4. First Heart sound is soft

Explanation: Answer is D (First Heart Sound is soft) The murmur in tetralogy of Fallot relates to the degree of right ventricular outflow obstruction (pulmonic stenosis). It is a harsh ejection systolic murmur resulting from turbulent flow across the stenotic pulmonic valve The shunt murmur is absent because the shunt operates at a low pressure difference